In sickle cell anemia replacement is:
1. Valbglu in b6
2. Glu by val in b6
3. Hist val b8
4. 6A

Correct answer: 2. Glu by val in b6

Explanation: B i.e. Glu by val in b6